Which of the following moves rapidly across the membrane?
1. CO2
2. Water
3. Glucose
4. Urea

Correct answer: 1. CO2

Explanation: Hydrophobic molecules move rapidly across the membrane